Alcoholic hyaline, in alcoholic liver disease is composed of -
1. Lipofuscin
2. Eosinophilic intracytoplasmic inclusions
3. Basophilic intracytoplasmic inclusions
4. Hemozoin

Correct answer: 2. Eosinophilic intracytoplasmic inclusions